24 yrs old AIDS patient develops chronic abdominal pain, low grade fever, diarrhea, and malabsorption. Oocyst demonstrated in stool. Likely cause of his diarrhea is -
1. E. histolytica
2. Giardia
3. Trichomonas
4. Isospora belli

Correct answer: 4. Isospora belli

Explanation: Option 4 The most common opportunistic Protozoa infections in untreated AIDS patients include the following: Toxoplasma gondii, Isospora belli, Cryptosporidium species. Clinical feature of Isospora belli: fever, abdomen pain, watery nonbloody diarrhea. Disease is more severe in HIV patients resembling cryptosporidiosis. Wet mount or modified Z.N. staining (0.1 - 1% H2SO4) can be done for demonstration of oocysts of Isospora belli. Image: Isospora belli: 23-36 mm in size, oval, uniformly acid fast (1% H2SO4), contains two sporocyst each bearing four sporozoites. option 1 ,2 Oocyst are not seen in case of E. histolytica and Giardia option 3 Trichomonas cause vaginal infection